Egg shell calcification seen in silicosis is due to
1. Hilar lymphnode enlargement
2. Pleural thickening
3. Pulmonary edema
4. Dilated vessels

Correct answer: 1. Hilar lymphnode enlargement

Explanation: (a) Hilar lymphnode enlargement > Enlargement of the hilum is common with chronic and accelerated silicosis. In about 5-10% of cases, the nodes will calcify circumferentially, producingso-called "Eggshell" calcification.> This finding is not pathognomonic (diagnostic) of silicosis. In some cases, the pulmonary nodules may also become calcified.